False about Echinococcus granulosus is
1. Man is the dead end
2. Causes hydatid disease
3. Casoni's test is Sensitive
4. Hydatid fluid is secreted by Ectocyst

Correct answer: 4. Hydatid fluid is secreted by Ectocyst

Explanation: Hydatid fluid is Secreted by Endocyst also called as Germinal epithelium.